A patient with external hemorrhoids develops pain while passing
stools. He was advised of Sitz Bath. Which of the following is false about
It?
1. Relives congestion and edema
2. Reduces pain
3. Sitz bath can be advised for fissure in ano patients
4. Sitz in a basin containing wax with warm water

Correct answer: 4. Sitz in a basin containing wax with warm water

Explanation: Sitz bath is sitting in a basin of warm water with antiseptic solution